A newly married couple approached their physician for contraceptive measures. They chose oral contraceptive pills (OCPs). What is the ABSOLUTE contraindication of OCPs?
1. Dysmenorrhoea
2. Carcinoma of the breast
3. Hypertension
4. Endometriosis

Correct answer: 2. Carcinoma of the breast

Explanation: Absolute contraindications for combination oral contraceptive use: The presence or history of thromboembolic disease Cerebrovascular disease Myocardial infarction Coronary artery disease Congenital hyperlipidemia Known or suspected carcinoma of the breast Carcinoma of the female reproductive tract Abnormal undiagnosed vaginal bleeding Known or suspected pregnancy Past or present liver tumors or impaired liver function. Relative contraindications: Migraine headaches Hypertension Diabetes mellitus Obstructive jaundice of pregnancy or prior oral contraceptive use Gallbladder disease Ref: Levin E.R., Hammes S.R. (2011). Chapter 40. Estrogens and Progestins. In L.L. Brunton, B.A. Chabner, B.C. Knollmann (Eds), Goodman & Gilman's The Pharmacological Basis of Therapeutics, 12e.